Which of the following is not an example of stochastic effect?
1. Radiation-induced cancer
2. Heritable effects
3. Osteoradionecrosis
4. None of the above

Correct answer: 3. Osteoradionecrosis